The most cost-effective mode of intervention for prevention of disease is:
1. Health education
2. Environmental modifications
3. Nutritional interventions
4. Lifestyle and behavioral changes

Correct answer: 1. Health education

Explanation: Health education is one of the most cost- effective interventions. A large number of diseases could be prevented if people were adequately informed & if they were encouraged to take necessary precautions in time.